HMB 45 is tumor marker for ?
1. Malignant melanoma
2. Mesothelioma
3. Bronchogenic carcinoma
4. Pancreatic carcinoma

Correct answer: 1. Malignant melanoma

Explanation: Ans. is 'a' i.e., Malignant melanoma